Average incubation period of typhoid is:
1. 2-3 days
2. 5-8 days
3. 10-15 days
4. 15-30 days

Correct answer: 3. 10-15 days

Explanation: Ans. (c) 10-15 daysRef: Harrison's 18th ed ch-15211.